Marker of acute kidney injury all except
1. Clusterin
2. Osteopontin
3. Alanine aminopeptidase
4. Acid phosphatase

Correct answer: 4. Acid phosphatase

Explanation: Ans. is 'd' i.e., Acid phosphatase Alanine aminopeptidase (AAP) Kidney injury molecule-1 (KIM-1) Alkaline phosphatase (AP) Clusterin utathione-S-transferase (a-GST) Neutrophil gelatinase associated lipocalin (NGAL) yglutamyl transpeptidase (TGT) Interleukin-18 (IL-18) N-acetyl-0-glucosaminidase (NAG) Cysteine-rich protein (CYR-61) 2-microglobulin Osteopontin (OPN) microglobulin o Retinol-binding protein (RBP) Fatty acid binding protein (FABP Cystatin C Sodium/hydrogen exchanger isoform (NHE3) o Microalbumin Exosomal fetuin-A